Major mechanism of action of typical anti-psychotic drugs is:-
1. Dopamine D1 receptor blockade
2. Dopamine D2 receptor blockade
3. Dopamine D3 receptor blockade
4. Dopamine D4 receptor blockade

Correct answer: 2. Dopamine D2 receptor blockade

Explanation: Antipsychotic drugs are divided into typical and atypical. Typical antipsychotic drugs mainly act by blocking D2 receptors of dopamine. Atypical drugs mainly act by blocking 5HT2 receptors of serotonin.